Atropine is useful in organophosphate poisoning because it -
1. Reactivates acetylcholinesterase
2. Competes with acetylcholine release
3. Binds with both nicotinic and muscarinic acetylcholine receptors
4. Is a competitive antagonist of acetylcholine

Correct answer: 4. Is a competitive antagonist of acetylcholine

Explanation: Ans. is 'd' i.e., Is a competitive antagonist of acetylcholine o Atropine acts as competitive antagonist at muscarinic receptors. It has no activity on nicotinic receptors and has nothing to do with Ach release.